The highest quantities of vitamin C is found in?
1. Orange
2. Lemon
3. Indian gooseberry
4. Grapes

Correct answer: 3. Indian gooseberry

Explanation: Ans. is 'c' i.e., Indian gooseberryThe richest source of vitamin C is Indian goosebery (A mla).Important sources of vitamin C in decreasing order : -Amla > Guava > Cabbage > Arnaranath > Lime > Cauliflower > Orange > Spinach > Tomato > Potato